Preferred initial treatment for Ca anal canal is
1. Surgery
2. Chemoradiation
3. Immunotherapy
4. Observation

Correct answer: 2. Chemoradiation

Explanation: Anal cancer Uncommon tumour, which is usually a squamous cell carcinoma Associated with HPV More prevalent in patients with HIV infection May affect the anal verge or anal canal Lymphatic spread is to the inguinal lymph nodes Treatment is by chemoradiotherapy in the first instance Major ablative surgery is required if the above fails Ref: Bailey & Love's Short Practice of Surgery,E25,Page-1269